All of the following is seen in superior laryngeal nerve palsy EXCEPT:
1. Aspiration
2. Stridor
3. Bowed vocal cords
4. Loss of pitch

Correct answer: 2. Stridor

Explanation: Superior laryngeal nerve palsy causes paralysis of cricothyroid muscle, and ipsilateral anesthesia of the larynx above the vocal cords. Clinical features- voice is weak and pitch cannot be raised with decreased ability to sing. Anaesthesia of the larynx on one side may pass unnoticed or cause occasional aspiration. Presence of both paralysis and bilateral anaesthesia. Causes inhalation of food and pharyngeal secretions gives rise to cough and choking fits. Voice is weak and husky. -Stridor is not seen in superior laryngeal nerve palsy is seen in B/L recurrent laryngeal nerve palsy.